Most common cause of bilateral Proptosis is
1. Thyrotoxicosis
2. Cavernous sinus thrombosis
3. Retinoblastoma
4. Pseudotumers

Correct answer: 1. Thyrotoxicosis

Explanation: Most common cause of either bilateral or unilateral proptosis in adults is thyroid ophthalmopathy Refer khurana 6/e